All are true of Hodgkins lymphoma except -
1. Bimodal age pattern
2. Females less common
3. Contiguous spread
4. Osteolytic metastasis

Correct answer: 4. Osteolytic metastasis